The autoclave method of sterilization:
1. Is performed under atmospheric pressure
2. Raising temperature to 120degC
3. Utilizes dry heat
4. All of the above

Correct answer: 2. Raising temperature to 120degC

Explanation: Ans. B i.e. Raising temperature to 120degC